A 30 year old male was attacked by goons while coming from his office . He has a penetrating injury in the abdomen which damaged superior mesenteric artery and the vagus nerve . Which among the following portions of colon is most likely to get affected ?
1. Ascending and descending colons
2. Transverse and sigmoid colons
3. Descending and sigmoid colons
4. Ascending and transverse colons

Correct answer: 4. Ascending and transverse colons

Explanation: The ascending and transverse colons receive blood from the superior mesenteric artery and parasympathetic nerve fibers from the vagus nerve. However, the descending and sigmoid colons receive blood from the inferior mesenteric artery and the parasympathetic nerve fibers from the pelvic splanchnic nerve arising from sacral spinal nerves (S2-S4).